Which artery supplies the cochlea?
1. Anterior inferior cerebellar
2. Labyrinthine
3. Pontine
4. Posterior cerebral

Correct answer: 2. Labyrinthine

Explanation: Labyrinthine artery supplies the cochlea and the vestibular apparatus. -In 85% of the population, it arises from the anterior inferior cerebellar artery. -In the remaining 15% of the population, it arises from the basilar artery.